Which of the following is true of the rotator cuff?
1. Teres major is one of its four constituent muscles.
2. The infraspinatus is innervated by the suprascapular nerve.
3. Part of its action is to pull the humeral head superiorly.
4. Subscapularis inserts onto the greater tuberosity of the humerus.

Correct answer: 2. The infraspinatus is innervated by the suprascapular nerve.

Explanation: b. Suprascapular nerve innervates both supraspinatus and infraspinatus. Explanationsa. Four muscles of rotator cuff are Supraspinatus Greater tuberosity Infraspinatus Greater tuberosity Teres minor Greater tuberosity Subscapularis Lesser tuberosity c. Rotator cuff provides stability to shoulder joint - pull the humeral head inferiorly, opposing the superior pull of deltoid. In radiograph of a patient with a rotator cuff tear the humeral head is seen to lie superiorly.